Which of the following drug is a long acting beta-2 agonist?
1. Albuterol
2. Salmeterol
3. Pirbuterol
4. Orciprenaline

Correct answer: 2. Salmeterol

Explanation: Ans. (B) Salmeterol(Ref: KDT 8th/e p243 & 5th/200)Salmeterol is a long acting b2 agonist whereas albuterol (salbutamol), pirbuterol and orciprenaline are short acting agents.